Under which level of prevention should sentinel surveillance be categorised -
1. Primordial prevention
2. Primary prevention
3. Secondary prevention
4. Tertiary prevention

Correct answer: 3. Secondary prevention

Explanation: Ans. is 'c' i.e., Secondary prevention o Sentinel surveillance is done to detect the missing cases that means the detection of diseased patient. o By detection of diseased patient in early stage, sentinel surveillance helps in early diagnosis and treatment (secondary prevention).